Disaccharide not digested in intestine is -
1. Sucrose
2. Isomaltose
3. Trehalose
4. Sucralose

Correct answer: 4. Sucralose

Explanation: Ans. is 'd' i.e., Sucralose* Carbohydrate digestion begins in the mouth with salivary amylase acting on starch and glycogen to form maltose (2 glucose residues with a l- 4 linkage), maltotriose (3 glucose residues with a 1- 4 linkages) and a dextrin (Multiple glucose residues with a 1- 6 linkages at branch points). These products are formed because amylase can act on only peripheral a l- 4 linkages, not on terminal a l- 4 linkages and on a l- 6 linkages.* As optimum pH of amylase is 6.7, it is active only until the food enters stomach. No carbohydrate digestion happens in stomach.* As food reaches second part of duodenum, alkaline bile and pancreatic juice reach the intestine. Alkaline bile resumes the action of salivary amylase. Salivary amylase and pancreatic amylase again act on undigested starch and glycogen to form maltose, maltotriose and a dextrin. Apart from these partially digested disaccharides and oligosaccharides, undigested disaccharides like sucrose3, isomaltose4, trehalose and lactose are present in the small intestine.* Maltase/ a dextrinase acts on maltose, maltotriose and a dextrin to form glucose residues.* Sucrase acts on sucrose and forms glucose and fructose.* Isomaltase acts on isomaltose to form 2 glucose residues.* Lactase acts on lactose to form galactose and glucose.